Replacement dose of thyroxine is:
1. 0.1-0.2 mg
2. 0.3-0.4 mg
3. 1-2 mg
4. 3-4 mg

Correct answer: 1. 0.1-0.2 mg

Explanation: Ans. (a) 0.1-0.2mgRef: Harrison 18/e p2922Thyroxine doses: (T4) Eltroxin tablet:0.1mg tablet available1.Supplement Treatment: (hypo thyroidism)1 tablet (0.1mg)2.Substitution treatment: (after thyroidectomy)2 tables (0.2mg)3.Suppression Treatment: (for papillary carcinoma)3 tablets (0.3mg)